Econazole is useful for the treatment of the following fungal infections except
1. Tinea pedis
2. Histoplasma capsulatum
3. Tinea corporis
4. Cutaneous candidiasis

Correct answer: 2. Histoplasma capsulatum

Explanation: Antifungal agents Mechanism of antifungal agentsDrugsAntibiotics Polyene Amphotericin B , Nystatin , Hamycin Echinocandins Caspofungin , Micafungin , Anidulafungin Heterocyclic BenzofuranGriseofulvin Antimetabolite Flucytosine Azoles Topical Imidazoles Clotrimazole , Econazole , Miconazole , Oxiconazole Systemic Imidazoles Ketoconazole Systemic triazole Fluconazole , Itraconazole , Voriconazole,Posaconazole Allylamine Terbinafine Other topical agents Undecylenic acid , Benzoic acid , Quiniodochlor , Ciclopirox olamine , Butenafine , Sodium thiosulfate Drugs used for treatment of systemic fungal infections Amphotericin B , Flucytosine , Triazoles ( Ketoconazole , Fluconazole , Voriconazole , Itraconazole , Posaconazole , Rabuconazole) , Echinocandins (Caspofungin , Micafungin , Anidulafungin )Drugs used for treatment of superficial fungal infections Griseofulvin , Allylamines , Azoles (Ketoconazole , Fluconazole , Itraconazole )Topical drugs for superficial fungal infections Polyenes , Imidazoles (Clotrimazole , Econazole, Miconazole , Oxiconazole Terconazole , Butaconazole , Tioconazole , Seaconazole ) , Allylamines , Ciclopirox olamine , Benzoic acid with salicylic acid , Tolnaftate , Undecylenic acid , Haloprogin (Refer: Rang and Dale's Clinical Pharmacology, 7th edition, pg no: 652)(Refer: K. D. Tripathi's Essentials of Medical Pharmacology, 7th edition, pg no: 792)